The tissues most sensitive to atropine are
1. The salivary, bronchial and sweat glands
2. The gastric parietal cells
3. Smooth muscle and autonomic effectors
4. The heart

Correct answer: 1. The salivary, bronchial and sweat glands

Explanation: Atropine is highly selective for muscarinic receptors. Its potency at nicotinic receptors is much lower, and actions at nonmuscarinic receptors are generally undetectable clinically.The effectiveness of antimuscarinic drugs varies with the tissue and with the source of agonist. In most tissues, antimuscarinic agents block exogenously administered cholinoceptor agonists more effectively than endogenously released acetylcholine.Tissues most sensitive to atropine are the salivary, bronchial, and sweat glands.Secretion of acid by the gastric parietal cells is the least sensitive. Katzung 13e pg: 122